Heterotopic ossification is a condition in which there is deposition of bone around the joints. Which of the following parameters is the most useful for this condition -
1. Serum calcium
2. Serum phosphate
3. Serum alkaline phosphatase
4. Serum PTH

Correct answer: 3. Serum alkaline phosphatase

Explanation: Bone scan ( Tc 99 three phase scan) is the most sensitive for early detection of heterotropic ossification. ALKALINE PHOSPHATASE and 24hr PGE2 are screening tests for heterotropic ossification. REF:Essential orthopaedics- Maheshwari- 5th edn - pg no 53.